Fluconazole different from ketoconazole in that
1. It is not active by the oral route
2. It is more potent inhibitor of drug metabolism
3. It is not effective in Cryptococcal meningitis
4. It is unlikely to produce anti androgenic side effects

Correct answer: 4. It is unlikely to produce anti androgenic side effects

Explanation: REF-KDT6/e p762) Ketoconazole is rarely used now a days because of several limitations. Important among them are: Poor oral bioavailability Limited CNS penetration Powerful inhibition of microsomal enzymes Anti-androgenic adverse effects like gynaecomastia Fluconazole is preferred agent because it has Very good oral absorption Maximum CNS penetration (therefore effective in cryptococcal meningitis). No inhibitorv action on microsomal enzymes No anti-androgenic property.